Black dot ring worm is caused by-
1. Microsporon
2. Trichophyton
3. Epidermophyton
4. Candida

Correct answer: 2. Trichophyton

Explanation: B. i.e. Trichophyton